Dual block is by –
1. Vecuronium + pancuronium
2. Atracurium
3. Vecuronium + rocuronium
4. Succinylcholine

Correct answer: 4. Succinylcholine